External cephalic version is now a days done at -
1. 34 weeks
2. 36weeks
3. 38 weeks
4. 40 weeks

Correct answer: 2. 36weeks